Exclamation mark hair is seen in
1. Alopecia areata
2. Traction alopecia
3. Trichotillomania
4. Androgen alopecia

Correct answer: 1. Alopecia areata

Explanation: Exclamatory mark hair are seen in alopecia areata. ref Harrison20th edition pg 1334